Following fistulous conditions give rise to maximum fluid and electrolyte imbalance ?
1. Distal ileal
2. Gastric
3. Duodenal
4. Sigmoid

Correct answer: 3. Duodenal

Explanation: Ans. is 'c' i.e., Duodenal